Perihilar fluffy opacities on chest X-ray is seen in
1. Pulmonary embolism
2. Pericardial effusion
3. Pulmonary arterial hypertension
4. Pulmonary venous hypertension

Correct answer: 4. Pulmonary venous hypertension

Explanation: X Ray Findings - Chest Heart & Blood Vessels * Flask-shaped / Pear-shaped / Leathe- bottle / Money-bag shaped heart - Pericardial effusion * Boot-shaped heart / Coer-en-sabot - Fallot's tetralogy * Box shaped appearance - Tricuspid atresia * Jug Handle appearance - Primary pulmonary artery hypertension * "3" like appearance - Coarctation of Aorta * Egg on side appearance - Transposition of great vessels * Egg in cup appearance - Constrictive pericarditis * Snow-man heart - TAPVC (total anomalous pulmonary venous connection) * Figure of '8' - TAPVC (total anomalous pulmonary venous connection) * Cottage Leaf appearance - TAPVC * Pericardial calcification - Constrictive pericarditis * Calcification in heart wall - is seen in - Carcinoid syndrome * Calfication of ascending aorta - Atherosclerosis, Syphilis * Hilar dance on fluoroscopy - Atrial Septal Defect * Xray finding in Ebstein's anomaly - Pulmonary oligemia * Posterior displacement of trachea - seen in - aneurysm of aorta * Obliteration of left border of heart (PA view of chest) is - suggestive of - Lingular pathology (left lung) * Bat's wings appearance - Pulmonary oedema * Pruned tree appearance (of pulmonary circulation) - Pulmonary artery hypertension Lungs * Ground glass appearance - Hyaline membrane disease * Solitary pulmonary mass lesion > 4cms - is most commonly due to - Bronchial adenoma * Honey Comb appearance - o SarcoidosisQ o Histiocytosis XQ o Interstitial lung diseaseQ o TuberculosisQ o Collagen disordersQ o PneumoconiosisQ o Drugs - bleomycin, busulphan, melphalan, cyclophosphamide * Meniscus sign / Crescent sign (mobile mass in pulmonary cavity) is most commonly seen in - Aspergilloma (fungal ball lesion) * Egg-Shell calcification - SilicosisQ , SarcoidosisQ , Coal miner's pneumoconiosisQ, Lymphoma following radiotherapyQ * Pop-corn calcification / Craggy pop-corn calcification - Pulmonary Hamartoma * Pleural calcification - commonest cause is - Tuberculosis (Asbestosis) * Diaphragmatic Pleura calcification - is due to - Asbestosis * Calcification in a pulmonary metastasis - is most commomly due to - Osteosarcoma * Coin shadow in the lung (single), with calcification in the centre - Epidermoid carcinoma * For radiologically evident pleural effusion - the minimal amount of pleural fluid that should be present is - 250 ml * Plethoric lung fields - seen in - L-R shunts ( VSD, PDA, ASD) * Oligemic lung fields - Pulmonary atreisa, Stenosis; Ebstein's anomaly * Perihilar fluffy opacities - seen in - Pulmonary venous hypertension Ribs * Superior surface notch of ribs - seen in - Hyperparathyroidsm, Neurofibromatosis, Connective tissue disorders * Inferior surface notch of ribs - seen in - Coarctation of Aorta, SVC obstruction, Chest wall AV fistula, Aortic Thrombosis, * Unilateral notching of ribs - Coarctation of Left subclavian artery, Subclavian artery block, Blalock-Taussig Operation Others * Displacement of tracheal shadow - most common cause is - Thyroid swelling * Water Lily sign - Ruptured hydatid cyst